Macular sparing is seen in the affection of -
1. Optic nerve
2. Optic tract
3. Optic chiasma
4. Occipital lobe

Correct answer: 4. Occipital lobe

Explanation: Macular sparing is seen in: - (i) Anterior occipital cortex lesion; (ii) Sometimes in total optic radiation lesions.